Most common intraocular metastasis in females are from which of the following primary tumor?
1. Breast
2. Ovary
3. Cervix
4. Endometrium

Correct answer: 1. Breast

Explanation: Ans. (a) BreastRef: Yanoff 3/e Chapter 8.3 Metastatic cancer to the eye* Metastasis is the most common intraocular malignant lesion.* Most common intraocular site of metastasis is: Choroid.